The results of the pulmonary functions tests shown below, the best diagnosis is -ParametersActualPredictedFE VI (L)1[?]23[?]5-4[?]3FVC(L)4[?]14[?]6-5[?]4FEVL'FVC (%)2972-80PEF (L/min)80440-540DLCO120%100%
1. Asthma
2. Asbestosis
3. ARDS
4. Silicosis

Correct answer: 1. Asthma

Explanation: Ans. is 'a' i.e. Asthma o .All expiratory parameters are reduced in the data given with timed vital capacity of 29%.o FEV1/FVC is reduced in obstructive airway disease with lowering of peak expiratory flow rates. Due to air trapping in asthma the DLco may be normal or increased.